Perception without stumuli is
1. Delusion
2. Illusion
3. Hallucination
4. Delirium

Correct answer: 3. Hallucination

Explanation: C i.e. Hallucination